Linear accelerator produces?
1. X rays
2. Beta rays
3. Gamma rays
4. Neutrons

Correct answer: 1. X rays

Explanation: ANSWER: (A) X raysREF: Oxford oncology 2nd edition page 398, O P Tondon's Inorganic chemistryRepeat from December 2009Linear accelerator and Betatron are used to produce X Rays by accelerating electronsCyclotron is used to produce Gamma rays.